Which one of the following branches of sociology studies the relationship between organism and environment
1. Ergonomics
2. Social Physiology
3. Ecology
4. Social Pathology

Correct answer: 3. Ecology

Explanation: Ecology is defined as the science of mutual relationship between living organisms and their environments. Ergonomics is the study of people's efficiency in their working environment Ref : Park's Textbook of Preventive and Social Medicine; 23rd edition - Pgno 21